Odontoblast is derived from
1. Mesenchimal cell of Dental Papilla
2. Inner enamel epithelium
3. Outer enamel epithelium
4. All of the above

Correct answer: 1. Mesenchimal cell of Dental Papilla